false about adult polycystic kidney disease is
1. Autosomal dominant
2. Mitral valve prolapse
3. MCC of death is rupture of berry aneurysm
4. Cysts in liver, lungs and pancreas

Correct answer: 3. MCC of death is rupture of berry aneurysm

Explanation: most common cause of death is chronic renal failure.